Which of the following is false regarding Oral Polio Vaccine (OPV)?
1. Residual neuro-paralysis is a complication
2. It is a killed vaccine
3. Requires sub- zero temperature for storage long term
4. Induces intestinal and humoral immunity

Correct answer: 2. It is a killed vaccine